Cytochrome oxidase contains:
1. Mg
2. Cu
3. Both of the above
4. None of the above

Correct answer: 2. Cu

Explanation: Cu